Most common glial tumor
1. Ependymomas
2. Astrocytoma
3. Meningioma
4. Neurofibroma

Correct answer: 2. Astrocytoma

Explanation: Astrocytomas are the most common tumours among all other gliomas .....and in astrocytoma infiltrating type has an occurrence of 80 percent of all cases. REF : Robbins and cotrans , 9e , pg : 1306